Most visually handicapping cataract is:
1. Rosette cataract
2. Nuclear cataract
3. Posterior subcapsular cataract
4. Cortical cataract

Correct answer: 3. Posterior subcapsular cataract

Explanation: Ans: C i.e. Posterior subcapsular cataract Reduced visual acuity (gradual, painless, progressive) & visual field loss are manifestations of all types of cataracts Cataracts & their effects Nuclear cataract manifest as colour shift (more obvious after surgery), second sight/ myopic shift, frequent change of glasses etc. Loss of ability to see objects in bright sunlight, blinding by light of oncoming headlamps when driving at night or glare may be the symptom of posterior subcapsular cataract Cortical cataract may manifest as frequent change of glasses, monocular diplopia/ polyopia, glare or coloured halos around light